Chlamydia in pregnancy, what is the best treatment?
1. Doxycycline
2. Tetracycline
3. Azithromycin
4. Penicillin

Correct answer: 3. Azithromycin

Explanation: Azithromycin is first-line treatment and has been found to be safe and effective in pregnancy. The fluoroquinolones, erythromycin estolate and doxycycline are avoided in Pregnancy.